Trachea is lined by -
1. Stratified squamous epithelium
2. Ciliated columnar epithelium
3. Simple columnar epithelium
4. Pseudostratified columnar epithelium

Correct answer: 4. Pseudostratified columnar epithelium